A 50 year old man with a history of smoking, hypertension, and chronic exertional angina develops several daily episodes of chest pain at rest compatible with cardiac ischemia. The patient is hospitalized. All the following would be part of an appropriate management plan except
1. Intravenous heparin
2. Aspirin
3. Intravenous nitroglycerin
4. Lidocaine by bolus infusion

Correct answer: 4. Lidocaine by bolus infusion